During cesarean section under general endotracheal anaesthesia, venous air embolism
1. Is associated with high end-tidal CO2
2. Should be treated with nitrous oxide
3. Is associated with expired nitrogen
4. Induces severe hypertension

Correct answer: 3. Is associated with expired nitrogen

Explanation: Expired Nitrogen is the most sensitive venous-air embolism detection method, as the largest component of air is nitrogen.